SGPT is found in:
1. Cytoplasm of hepatocytes
2. Mitochondria of hepatocytes
3. Nucleus of hepatocytes
4. All of above

Correct answer: 1. Cytoplasm of hepatocytes

Explanation: SGPT and SGOT are found in cytoplasm of hepatocytes whereas SGOT is also found in mitochondria of hepatocytes. SGPT can be raised in other forms of tissue damage, such as: Myocardial infarction Muscle necrosis Renal disorders Cerebral disorders Intravascular hemolysis. In these diseases, serum SGOT levels are much higher than SGPT levels. However, in liver disease, generally SGPT increases more than SGOT.